The best cosmetic results for large capillary (port wine) hemangiomas are achieved by
1. Excision and split-thickness skin
2. Laser ablation
3. Cryosurgery
4. Tattooing

Correct answer: 2. Laser ablation

Explanation: .Port wine stain (Naevus flammeus): It presents at birth and persists throughout life without any change. Spontaneous regression will not occur. It presents as smooth, flat, reddish blue/intensely purple area; common in head, neck and face; often with maxillary and mandibular dermatomes of 5th cranial nerve. Eventually surface becomes nodular and keratotic. * It persists throughout life. * It is actually a capillary malformation even though considered under haemangioma. It results from defect in maturation of sympathetic innervation of skin causing localised vasodilatation of intradermal capillaries. * It is often associated with Sturge-Weber syndrome, Klippel - Trenaunay-Weber syndrome and Proteusnsyndrome. * It needs treatment - laser (pulsed dye/diode); excision and grafting; cosmetic coverage. Expected result by treatment is not possible many times. ref:SRB's manual of surgery,ed 3,pg no 180